Injection abscesses due to use of contaminated vaccines occurs in infections caused by
1. M. kansasii
2. M. ulcerans
3. M. chelonae
4. M. smegmatis

Correct answer: 3. M. chelonae